Which of the following group of enzymes act by mediating transfer of one molecule to another?
1. Lyases
2. Oxidases
3. Peptidases
4. Transferases

Correct answer: 4. Transferases

Explanation: Transferases catalyze the transfer of groups such as methyl or glycosyl groups from a donor molecule to an acceptor molecule e.g., hexokinase. Ref: Harper's Illustrated Biochemistry, 26th Edition, Pages 49-50; Textbook of Biochemistry By D M Vasudevan, 3rd Edition, Page 31